Anti IgE monoclonal antibody used in bronchial asthma is :
1. Mepolizumab
2. Omalizumab
3. Keliximab
4. Altrakincept

Correct answer: 2. Omalizumab